Longest acting among muscle relaxant is?
1. Doxacurium
2. Rocuronium
3. Vecuronium
4. Atracurium

Correct answer: 1. Doxacurium

Explanation: Ans. is 'a' i.e., Doxacurium Among the given options, only doxacurium is long acting. See explanation- 4 of session- 3.